Hypokalemia.may be a feature of all following diseases, except -
1. Addison's disease
2. Cushing's syndrome
3. Barter's syndrome
4. Guelman's syndrome

Correct answer: 1. Addison's disease

Explanation: serum sodium, chloride, and bicarbonate level are decreased and serum potassium is elevated. Hyperkalemia due to aldosterone deficiency, impaired glomerular filtration, and acidosis( Harrison 17 pg 2264)